Source of EEG
1. A potential of pyramidal cells
2. A potential of ganglion cells
3. EPSP and IPSP of cortical cells which behave like dipoles
4. After potentials of parietal cortex

Correct answer: 3. EPSP and IPSP of cortical cells which behave like dipoles

Explanation: (C) EPSP and IPSP of cortical cells which behave like dipoles > The dendrites of the cortical cells are a forest of similarly oriented, densely packed units in the superficial layers of the cerebral cortex.> Propagated potentials can be generated in dendrites. In addition, recurrent axon collaterals end on dendrites in the superficial layers.> As excitatory and inhibitory endings on the dendrites of each cell become active, current flows into and out of these current sinks and sources from the rest of the